Punch drunk syndrome is seen in-
1. Boxers
2. Drug abuse
3. Alcoholic
4. Head injury

Correct answer: 1. Boxers

Explanation: Ans. is 'a' i.e., Boxers Boxing Injurieso Subdural hemorrhage in the middle cranial fossa due to tearing of the dural emissary' veins is the most common cause of death due to prolonged repetitive punching.o Pontine hemorrhage - Boxers hemorrhageo Retinal detachment, choroidal tears and vitreous hemorrhages may occur.o Punch drunk (Traumatic Encephalopathy/ DemetiaPugilistica) final form of neurological syndrome seen in boxers and consists of slurred speech, defective memory, slow thought process, stiff limbs, ataxia, broad based gait, outbursts of violence, parkinsonian like facial appearance and dementia.